Chyme is -
1. Food in stomach
2. Biliary secretion
3. Pancreatic secretion
4. None of the above

Correct answer: 1. Food in stomach

Explanation: Ans. is 'a' i.e., Food in stomach o After food in the stomach has become throughly mixed with stomach secretions, the resulting mixture that passes down the gut is called chyme.o Chyme is usually semifluid mass. However, degree of fluidity of chyme depends on the relative amounts of food, water and stomach secretions and on the degree of digestion that has occurred.